Duret haemorrhage is/are seen in:
1. Conjunctiva
2. Middle ear
3. Endocardium of heart
4. Brain

Correct answer: 4. Brain

Explanation: D i.e. Brain Whiplash injury results from acute hyperextension of cervical spineQ in the region of C4 - C6 vertebrae. Coup & Count-re coup lesions are most commonly seen in brainQ. Lucid interval is seen in insanity & epidural haemorrhageQ Fracture - ala - signature / signature fracture is also known as depressed fracture of skull vaultQ. Depressed/ Signature fracture are caused by heavy weapon with small striking surface eg. hammerQ. Pond or Indented fracture occur in childrenQ due to elasticity of their skull bones. -Duret haemorrhages are small areas of bleeding in anterior & paramedian upper brain stem (midbrain & pons)Q produced due to progressive rise of intracranial pressure 1/t coning or downward herniation of brainstem into foramen magnum. This results in stretching & shearing of perforators of basilar artery causing duret hemorrhage , tractional damage of pituitary stalk causing diabetes insipidus; Cushing triad (bradycardia, hypertension & respiratory irregularities), mid size non reacting pupil and brainstem death.